One PHC should be present in hilly areas for every:
1. 10,000 people
2. 20,000 people
3. 30,000 people
4. 50,000 people

Correct answer: 2. 20,000 people

Explanation: Ans. B i.e. 20,000 people One PHC is to cover a population of 20, 000 in hilly/ tribal/ difficult areas and 30, 000 in plain areas.